One of the below mentioned penicillin is NOT given orally:
1. Amoxicillin
2. Carbenicillin
3. Cloxacillin
4. Phenoxymethyl penicillin

Correct answer: 2. Carbenicillin